IUGR is caused by all except-
1. Diabetes
2. Alcohol
3. Smoking
4. Chronic renal failure

Correct answer: 1. Diabetes

Explanation: Ans. is 'a' i.e., Diabetes Causes of IUGR (small for date) Environmental (i) Ethnic, racial and geographic (ii) Social and economic status (iii) Nutritional Maternal (i) Short stature of mother (ii) Primi or grand multipara (iii) Young / adolescent mother (below 20 years) (iv) Low pre-pregnancy weight (v) Smoking and tobacco or alcohol abuse (vi) Maternal illness : anemia, heart disease, malaria (vii) Complication of pregnancy : pre-eclampsia, hypertension (viii) Previous similar baby Placental factors Disorders of implantation of placenta, ahruptio placenta extensive placental infarcts and structural or function abnormalities of placenta. Single umbilical artery vascular thrombosis also predispose to birth of small baby Fetal factors (i) First born babies are generally smaller (ii) Genetics or chromosomal aberrations (iii) Twining and multiple pregnancies (iv) Intrauterine infections Note : In CRF there is hypertension which is one of the cause of IUGR. Propranolol also causes IUGR.